Lambda sign on ultrasound is seen in?
1. Ectopic pregnancy
2. Twin pregnancy
3. Hyaditiform mole
4. Fibroid

Correct answer: 2. Twin pregnancy

Explanation: Ans BTwin peak sign (also known as the lambda (l) sign) is a triangular appearance of the chorion insinuating between the layers of the intertwin membrane and strongly suggests a dichorionic twin pregnancy.